Procoagulant factors produced by endothelial cells include:
1. Thrombomodulin
2. Prostacyclin
3. Von Willebrand factor
4. Thromboxane A2

Correct answer: 3. Von Willebrand factor

Explanation: The three main components of hemostasis include endothelial cells, platelets, and the coagulation system. Endothelial cells exhibit both procoagulant and anticoagulant properties. Their procoagulant activities involve activation of the extrinsic coagulation cascade by their production of tissue factor (thromboplastin) and stimulation of platelet aggregation by their production of von Willebrand factor and platelet-activating factor.